Which is true about calcium channel blockers -
1. Verapamil causes reflex tachycardia
2. Diltiazam causes reflex tachycardia
3. Nifedipine causes reflex tachycardia
4. Nifedipine has longer t1/2 than felodipine

Correct answer: 3. Nifedipine causes reflex tachycardia

Explanation: Ans. is 'c' i.e., Nifedipine causes reflex tachycardia o DHPs (nifedipine) cause reflex tachycardia.o Felodipine - it differs from nifedipine in having greater vascular selectivity, large tissue distribution and longer 0/2.